pseudolaminar necrosis is a feature of
1. Cerebral infarct
2. Renal infarct
3. Hepatic infarct
4. Cardiac infarct

Correct answer: 1. Cerebral infarct

Explanation: Cortical laminar necrosis, also known as pseudolaminar necrosis, is necrosis of neurons in the cortex of the brain in situations when the supply of oxygen and glucose is inadequate to meet regional demands Refer robbins 9/e p814